A 50 year old woman complains of numbness in the anterior cervical triangle. So, damage has occurred to which of the following nerves?
1. Phrenic nerve
2. Greater auricular nerve
3. Transverse cervical nerve
4. Supraclavicular nerve

Correct answer: 3. Transverse cervical nerve

Explanation: The transverse cervical nerve turns around the posterior border of the sternocleidomastoid and innervates the skin of the anterior cervical triangle. The phrenic nerve, a branch of the cervical plexus, contains motor and sensory fibers but no cutaneous nerve fibers. The greater auricular nerve innervates the skin behind the auricle and on the parotid gland. The supraclavicular nerve innervates the skin over the clavicle and the shoulder.